Post hepatic Portal Hypertension is caused by
1. Portal vein thrombosis
2. Congenital hepatic fibrosis
3. Budd-Chiari syndrome
4. All of the above

Correct answer: 3. Budd-Chiari syndrome

Explanation: Post-sinusoidal cause of Poratl hypertension
Budd-Chiari syndrome
Veno occlusive disease